All of the following are the causes of sudden increase in pain in osteochondroma, except -
1. Sarcomatous change
2. Fracture
3. Bursitis
4. Degenerative changes

Correct answer: 4. Degenerative changes

Explanation: Osteochondroma usually presents as a painless swelling.
The occurrence of pain suggests some complications such as :
Bursitis at the tip of the swelling.
Fracture through the stalk of the osteochondroma
Impingement on or tethering of neighbouring structures such as a tendon, muscle or nerve.
Malignant transformation